A teenager has a long history of "daydreaming" in school. EEG reveals evidence of a generalized seizure disorder, but there has never been a history of convulsive muscular activity.For the above patient with clinical symptoms and signs, select the most likely seizure type
1. simple partial seizure
2. complex partial seizures
3. tonic-clonic (grand mal) seizures
4. absence (petit mal) seizures

Correct answer: 4. absence (petit mal) seizures

Explanation: Pure absence seizures consist of the sudden cessation of ongoing conscious activity without convulsive muscular activity or loss of postural control. They can be so brief as to be inapparent but can last several minutes. There is usually no period of postictal confusion.